Ipsilateral supraclavicular lymph nodes are positive in a patient of Ca Breast. Which of the following represents the stage of malignancy in this patient?
1. II
2. III B
3. III C
4. IV

Correct answer: 3. III C

Explanation: Stage IIIC: Any T, Metastasis in ipsilateral supraclavicular lymph node(s) and M0. Patients with disseminated metastases should be considered for palliative systemic treatment. Ref: Hunt K.K., Newman L.A., Copeland E.M., Bland K.I. (2010). Chapter 17. The Breast. In F.C. Brunicardi, D.K. Andersen, T.R. Billiar, D.L. Dunn, J.G. Hunter, J.B. Matthews, R.E. Pollock (Eds), Schwartz's Principles of Surgery, 9e.